Xeroderma pigmentation is caused due to a group of closely related abnormalities in
1. Mismatch repair
2. Base excision repair
3. Nucleotide excision rapair
4. SOS repair

Correct answer: 3. Nucleotide excision rapair

Explanation: Autosomal recessive conditionThere are seven xeroderma pigmentosum genes necessary for NER mechanism in humans Mutation in any of them lead to the condition XPRef: DM VASUDEVAN 7th edition, page no: 584